The following are the high grade salivary gland malignancies, except:
1. Basal cell adenocarcinoma
2. Mucoepidermoid carcinoma
3. Adenoid cystic carcinoma
4. Salivary duct carcinoma

Correct answer: 1. Basal cell adenocarcinoma

Explanation: Basal cell adenocarcinoma of salivary glands is an uncommon neoplasm occurring almost exclusively in major salivary glands. It is a low-grade malignant neoplasm, cytologically similar to basal cell adenoma, but is infiltrative and has a small potential for metastasis.
Reference: Shafer’s Textbook of ORAL PATHOLOGY Eighth Edition page no 285